Most conclusive sign of ovulation is:
1. TVS follicular study
2. Basal body temperature
3. Ferning pattern of cervical mucus
4. Pregnancy

Correct answer: 4. Pregnancy

Explanation: Ans. is 'd' i.e., Pregnancy Various methods used to detect ovulation are:A) Indirect methods:1. Menstrual history2. Evaluation of end organ changes:# BBT# Cervical mucus study# Vaginal cytology# Hormonal estimation# Sr progesterone# Sr. estradiol# Sr LH# URINARY LH# Endometrial biopsy3. USG FOLLICULAR STUDY (TVS preferred)B) Direct:1. LaparoscopyC) Conclusive:1. Pregnancy